Sentinel surveillance; TRUE is:
1. Data is itself reported to the health system
2. Active collection of data
3. Employed to identify the missing case
4. All of the above

Correct answer: 3. Employed to identify the missing case

Explanation: Surveillance: 

Ongoing systematic collection, analysis & interpretation of data and use of this information to take action for prevention and control of disease. 
Used for purpose of 'health planning'. 

Types of Surveillance: